Concerning the peripheral chemoreceptors, True is:
1. They respond to changes in the arterial PO2 but not pH
2. Under normoxic conditions, the response to changes in PO2 is very small
3. The response to changes in PCO2 is slower than for central chemoreceptors
4. They are the most important receptors causing an increased ventilation in response to a rise in PCO2.

Correct answer: 2. Under normoxic conditions, the response to changes in PO2 is very small

Explanation: The peripheral chemoreceptors are responsive to the arterial PO2 , but during normoxia, the response is small. The other choices are incorrect. Peripheral chemoreceptors do respond to changes in blood pH, the response to changes in PCO2 is faster than is the case for central chemoreceptors, the central chemoreceptors are more important than the peripheral chemoreceptors in the ventilatory response to increased CO2, and peripheral chemoreceptors have a very high blood flow in relation to their mass.